Which disorder of carbohydrate metabolism disorder typically has cardiac involvement?
1. Glycogen Storage Disease Type II (Pompe)
2. Galactosemia
3. Glycogen Storage Disease Type I (Von-Gierke)
4. Hereditary fructose intolerance

Correct answer: 1. Glycogen Storage Disease Type II (Pompe)

Explanation: Classic infantile form of Pompe disease presents with Cardiomyopathy and conduction disorders Muscular hypotonia / floppy baby Macroglossia Organomegaly Cardiomyopathy- hypertrophic type, severe thickening of the septum and free walls of the left and right heart. Glycogen storage involves cardiac myocytes, special cells of the conduction system (A-V node and His-bundle cells), representing the histological background of classical ECG abnormalities in Pompe disease: pre-excitation patterns (short PR, delta waves), AV blocks and bundle branch abnormalities.